The advantage of Bladder drainage over Enteric drainage after Pancreatic Transplantation is better monitoring of :
1. HBA I C levels
2. Amylase levels
3. Glucose levels
4. Electrolyte levels

Correct answer: 2. Amylase levels

Explanation: Answer is B (Amylase levels): The major advantage of Bladder drainage is the ability to measure urinary amylase which can facilitate early diagnosis of rejection. 'Urinary drainage of the pancreas has the advantage that urinary amylase levels can he used to monitor graft rejection' Exocrine Drainage after Pancreatic Transplantation Enteric Drainage The whole pancreas along with a segment of donor duodenum is transplanted into the recipient small bowel All exocrine secretions / enzymes are drained into the bowel and excreted with the stool Major Advantage of Enteric Drainage (Disadvantage of Bladder Drainage) Fewer Urinary tract infections /Urological complications (Urological complications are more common with bladder drainage) Fewer Metabolic complications (eg Acidosis) (Metabolic complications such as metabolic acidosis are more common with bladder drainage) Lesser incidence of Reflux Pancreatitis (Reflux Pancreatitis is more common with bladder drainage) Bladder Drainage The whole pancreas along with a segment of donor duodenum is transplanted into the recipient bladder All exocrine secretions / enzymes are drained into the bladder and excreted urine Major Advantages of Bladder Drainage (Disadvantage of Enteric drainage) Ability to measure urinary amylase which can facilitate early diagnosis of rejection (A fall in urinary amylase usually precedes a rise in systemic blood glucose during rejection such that anti-rejection treatment can be commenced sooner) Lower rate of Technical failure (Procedure related complications)